A lady presented with recurrent attacks of giddiness and abdominal pain since three months. Endoscopy was normal. Her fasting blood glucose was 40mg% and insulin levels were elevated. CT abdomen showed a well defined 8 mm enhancing lesion is the hrad of pancreas, with no other abnormal findings. What should be the treatment plan for this patient.
1. Whipple's operataion
2. Enucleation
3. Enucleation with radiotherapy
4. Administration of streptozotocin

Correct answer: 2. Enucleation

Explanation: enucleation is the treatment of choice for insulinoma SRB,26th,709.